'Posthumous child' is one who:
1. Does not belong to the women claiming to be its mother
2. Has been abandoned by its parents
3. Is born after the death of its father
4. Is illegitimate

Correct answer: 3. Is born after the death of its father

Explanation: Ans. Is born after the death of its father